Termination is caused by all EXCEPT:
1. 48 S complex
2. UAA
3. RF-1
4. Peptidyl transferase

Correct answer: 1. 48 S complex

Explanation: 48 s ribosome complex is involved in initiation of translation, not termination. Termination of translation, Stop codons are UAA, UAG & UGA, which do not code for any amino acid. Peptidyl transferase is responsible for the release of polypeptide chain from the P-site of ribosome.